Non immune hydrops is seen in?
1. Alpha thalassemia major
2. Rh incompatibility
3. Bilateral renal agenesis
4. Maternal rubella

Correct answer: 1. Alpha thalassemia major

Explanation: Alpha thalassemia major REF: Fetology: diagnosis and management of the fetal patient by Diana W. Bianchi, Timothy Crombleholme, Mary E. D'Alton Page 893, http://en.wikipedia.org/wiki/Hydrops_fetalisImmune_causes Non-Immune causes of Hydrops The non-immune form of hydrops fetalis has many causes including: Iron deficiency anemia Paroxysmal supraventricular tachycardia resulting in Congestive Heart Failure Deficiency of the enzyme beta-glucuronidase (Mucopolysaccharidosis Type VII) Parvovirus B19 (Fifth Disease) infection of the pregnant woman. Maternal syphilis. a thalassemia can also cause hydrops fetalis when all four of the genetic loci for - globin are deleted or affected by mutation. This is termed Hb Barts (consists of y-4 tetramers). Turner Syndrome Tumors, the most common type of fetal tumor being teratoma, particularly a sacrococcygeal teratoma. Twin-twin transfusion syndrome in monochorionic pregnancy (hydrops affects the recipient twin) Maternal hyperthyroidism